Which of the following structure is not supplied by uterine arteries ?
1. vagina
2. ovary
3. urater
4. lateral one third of uterine tube

Correct answer: 4. lateral one third of uterine tube

Explanation: The uterus is supplied : (1) Chiefly by the two uterine arteries which are markedly enlarged during pregnancy; and (2) partly by the ovarian arteries. The uterine artery is a branch of the anterior division of the internal iliac artery. Apart from the uterus, the uterine also gives branches to: (1) The vagina; (2) the medial two-thirds of the uterine tube; (3) the ovary; (4) the ureter; and (5) to structures present in the broad ligament. Ref : B D Chaurasia's Human Anatomy , Seventh edition , volume 2, pg. no., 422.